Dipsomania is usually used in context of:
1. Tonics
2. Liquids
3. Alcohol
4. Any of the above

Correct answer: 3. Alcohol

Explanation: Dipsomania is a type of impulse in which an irresistible desire for alcoholic drinks at periodic intervals. Also know: Impulse is a sudden and irresistible force compelling a person to the conscious performance of some action without motive or forethought. Types are: Kleptomania: An irreversible desire to steal articles of little value Pyromania: An irreversible desire to set fire to things Mutilomania: An irreversible desire to mutilate animals Dipsomania Sexual impulses Suicidal and homicidal impulses Ref: Essentials of Forensic Medicine and Toxicology by Narayan Reddy, 27th edition, Page 412-413.